After overnight fasing, levels of glucosetranpoers reduced in
1. Brain cells
2. RBCs
3. Adipocytes
4. Hepatocytes

Correct answer: 3. Adipocytes

Explanation: Adipocytes (Ref: Harper 28/e, p138, 171 (26/e p160, 232); Lippincott Biochem 3/e p310; Ganong23/e p320] Overnight fasting causes insulin levels to fall. This decreases the number of glucose transporters which are insulin dependent. Insulin dependent glucose transporters are GLUT-4, present in adipocytes, skeletal and cardiac muscles. Rest of the glucose transporters are not insulin dependent. Harper writes-"Glucose uptake into muscle and adipose tissue is controlled by insulin, which is secreted by the B islet cells of the pancreas in response to an increased concentration of glucose in the portal blood. An early response to insulin in muscle and adipose tissue is the migration of glucose transporter vesicles to the cell surface, exposing active glucose transporters (GLUT 4). These insulin-sensitive tissues will only take up glucose from the blood stream to any significant extent in the presence of the hormone. As insulin secretion falls in the starved state, so the transporters are internalized again, reducing glucose uptake" Glucose Transporters Glucose enters cells either by facilitated diffusion or by secondary active transport with No+ (in the intestine and kidneys) Glucose transporters are a family of membrane proteins that are responsible for facilitated diffusion of glucose across cell membranes. They differ from and have no homology with the sodium-dependent glucose transporters, SGLT 1 and SGLT 2, responsible for the secondary active transport of glucose in the intestine and renal tubules. Seven different glucose transporters, named GLUT 1-7 in order of discovery. have been characterized. Each transporter appears to have evolved for special tasks. GLUT 4 is the transporter in muscle and adipose tissue that is stimulated by insulin. Glucose Transporters in Mammals Function Major Sites of Expression Facilitated diffusion GLUT 1 Basal glucose uptake Brain, kidney, colon, placenta, erythrocytes GLUT 2 B-cell glucose sensor; transport out of intestinal and renal epithelial cells B cells of pancreatic islets, liver, small intestine, kidneys GLUT 3 Basal glucose uptake Brain, placenta, kidneys GLUT 4 Insulin-stimulated glucose uptake Skeletal and cardiac muscle, adipose tissue GLUT 5 Fructose transport Jejunum, sperm GLUT 6 None Pseudogene GLUT 7 Glucose 6-phosphate transporter in endoplasmic reticulurn Liver, ? other tissues Secondary active transport (Nal? glucose cotransport) SGLT 1 Absorption of glucose Small intestine, renal tubules SGLT 2 Absorption of glucose Renal tubules